The normal Nitrogen content in 200gm protein is
1. 8 g
2. 16 g
3. 32 g
4. 64 g

Correct answer: 3. 32 g

Explanation: Obligatory nitogen loss is 3.5g of N/day for a 65 kg person (urinary,fecal and cutaneous loss).This cold be equivalent to 22 g of protein. then 200 gm of = ? nitrogen content. =200*3.5/22=31.8=32 gm REFERENCE :DM VASUDEVAN TEXTBOOK EIGHTH EDITION ; Page no:515.